Cell surface molecules involved in peripheral tolerance
1. B7 and CD28
2. CD40 and CD40L
3. CD 34 and CD51
4. B7 and CD3

Correct answer: 1. B7 and CD28

Explanation: Ref Robbins 7/e p225 , Harrison 16/e p1907, Robbins 9/e p213 B7 is a type of peripheral membrane protein found on activated antigen presenting cells that, when paired with either a CD28 or CD152 surface protein on a T cell, can produce a costimulatory signal